Normal plasma osmolality in mOsmol/kg H2O
1. 290
2. 385
3. 485
4. 585

Correct answer: 1. 290

Explanation: The osmolarity is the number of osmoles per litre of solution The freezing point of normal human plasma averages -0.54 degC, which corresponds to an osmolal concentration in plasma of 290 mOsm/L Ref: Ganong's Review of Medical Physiology Twenty-Third Edition Page No:6